. Most common indication for laparotomy in intestine T.B is -
1. Peritonitis
2. Intestinal obstruction
3. Doubtful diagnosis
4. Loer GI bleeding

Correct answer: 2. Intestinal obstruction